Intra-arterial injection of thiopentone. All true except:-
1. Intra-arterial thiopentone can form crystals in arterioles & capillaries and cause intense vasoconstriction
2. It should be treated promptly with papaverine and lidocaine
3. Treatment of choice is stellate ganglion block
4. Heparinization can also be done

Correct answer: 3. Treatment of choice is stellate ganglion block

Explanation: If other measures fail then we can go for stellate ganglion block. Intra-arterial injection may cause acute, severe extremity ischaemia and gangrene. The degree of injury is related to the concentration of the drug. Treatment: Theneedle should not be removedand saline is administered the same needle so as to dilute the drug Administering heparinto prevent thrombosis artery dilators can be used Brachial plexus block or stellate ganglion blockto relieve vasospasm